DOC for Listeria monocytogenes
1. Penicillin G
2. Nitrofurantoin
3. Ampicillin
4. Ofloxacin

Correct answer: 3. Ampicillin

Explanation: Aminopenicillins Ampicillin It is active against all organisms sensitive to PnG. In addition, many gram-negative bacilli, e.g. H. influenzae, E. coli, Proteus, Salmonella Shigella and Helicobacter pylori are inhibited. Ampicillin is more active than PnG for Strep. viridans, enterococci and Listeria monocytogenes; equally active for pneumococci, gonococci and meningococci (penicillin-resistant strains are resistant to ampicillin as well); but less active against other gram-positive cocci. Ref:- kd tripathi; pg num:-722